All of the following conditions are associated with raised amylase level except:
1. Carcinoma pancreas
2. Perforated ulcer
3. Acute pancreatitis
4. Acute appendicitis

Correct answer: 4. Acute appendicitis

Explanation: Ans. D: Acute appendicitis